A patient presents with thyrotoxicosis and both eyeballs protruded. Thyroid test done would reveal?
1. T3 increased, T4 increased TSH normal
2. T3 deceased, T4 decreased, TSH increases
3. T3 increased, T4 increased, TSH decreased
4. T3 decreased, T4 normal, TSH decreased

Correct answer: 3. T3 increased, T4 increased, TSH decreased

Explanation: The presence of proptosis along with thyrotoxicosis indicates the diagnosis of GRAVE'S DISEASE. It is characterized by suppressed TSH and elevated T3, T4, FT3 and FT4.